Which among the following is considered as a hallmark of the fibrogenic repair:
1. Granulation tissue
2. Neovascularization
3. Neutrophilic infiltration
4. All of the above

Correct answer: 1. Granulation tissue

Explanation: Granulation tissue is the hallmark of the fibrogenic repair.